The ideal method for restoring a fractured tooth is
1. Open faced stainless steel crown
2. Reattachment of fractured tooth segment
3. Strip crown
4. Composite resin restoration

Correct answer: 2. Reattachment of fractured tooth segment